Trapezoid body is associated with:
1. Auditory pathway
2. Visual pathway
3. Pyramidal pathway
4. Gustatory pathway

Correct answer: 1. Auditory pathway

Explanation: A i.e., Auditory pathway